YAG laser is used in -
1. Retinal detachment
2. Diabetes
3. After-cataract
4. Refractive errors

Correct answer: 3. After-cataract

Explanation: After cataract is treated by Nd-YAG laser posterior capsulotomy